Which of the following segments of the circulatory system has the highest velocity of blood flow?
1. Aorta
2. Arteries
3. Capillaries
4. Venules

Correct answer: 1. Aorta

Explanation: The velocity of blood flow within each segment of the circulatory system is inversely proportional to the total cross-sectional area of the segment. Because the aorta has the smallest total cross-sectional area of all circulatory segments, it has the highest velocity of blood flow